Which of the following displacement does not occur in Colle's fracture ?
1. Supination
2. Lateral shift
3. ventral shift
4. Dorsal tilt

Correct answer: 3. ventral shift

Explanation: Proximal shift or impaction occurs in fracture of lower end of radius . Dorsal or posterior tilt is most commonly caused by Colles fracture . It is extra-articular fracture. Displacements in Colle's fracture Dorsal-tilt and shift Lateral tilt and shift Impaction Supination